The B lynch suture is applied on ___________
1. Cervix
2. Uterus
3. Fallopian tubes
4. Ovaries

Correct answer: 2. Uterus

Explanation: The B-lynch suture is applied on the uterus. The B-lynch suture is a technique to arrest hemorrhage for severe postpartum atony. Note: Sutures applied on cervix are known as cervical cerclage/Cervical stitch is done for cervical incompetence 3 types of cerclage: McDonald cerclage, Shirodkar cerclage, abdominal cerclage. Ref: Williams Obstetrics 24th edition Pgno: 819